In a subcenter population, Crude birth rate(CBR) is 20. What is the minimum expected number of pregnancies registered with ANM?
1. 110
2. 120
3. 55
4. 100

Correct answer: 3. 55

Explanation: Total subcenter population= 5000 In the given question, Total CBR= 20 per 1000 mid-year population So, for 5000 population, expected number of births in a year = 20/1000 * 5000= 100 births. Now since, Abortions and still births account for 10% of wasted pregnancies. So, expected number of total pregnancies in 1 year= 100+(10% of 100) = 100+10 = 110 pregnancies As per thumb rule , ANM should have atleast 50% pregnancies registered with her. Hence, total minimum expected registered pregnancies with ANM= 50% of 110= 55 Ref: Park 25th edition Pgno: 559